Which of the following structure is crossed by root of mesentery?
1. Horizontal part of duodenum
2. Left gonadal vessels
3. Left ureter
4. Superior mesenteric artery

Correct answer: 1. Horizontal part of duodenum

Explanation: "The root of the mesentery crosses (successively) the third part of duodenum, abdominal aorta, IVC, right ureter, right psoas major, right genitofemoral nerve and right gonadal vessels.Mesentery is a peritoneal fold that suspend jejunum and ileum from the posterior abdominal wall. It has two layers and two borders. The posterior border is called root of mesentery. Root of mesentery is 15cm long and its line of attachment runs obliquely down ward and to the right from duodenojejunal flexure to the right iliac fossa. Ref: Human Anatomy: Volume II Abdomen and Lower Limb By A. Halim, Page 86